Which of the following is not a surgical method for tubal ligation ?
1. Pomeroy
2. Parkland
3. Essure
4. Irving

Correct answer: 3. Essure

Explanation: Various methods are Pomeroy method, Parkland procedure, madlener procedure, Irwing, Uchida, Aldridge, Shirodkar etc. THE TEXTBOOK OF GYNAECOLOGY SHEILA BALAKRISHNAN SECOND EDITION PAGE NO 388